True statement about first order kinetics is
1. A constant amount of a drug is eliminated in unit time
2. The half-life increases with an increase in dose
3. The rate of elimination is constant
4. The rate of elimination is proportional to the plasma concentration

Correct answer: 4. The rate of elimination is proportional to the plasma concentration

Explanation: Ans. (D) The rate of elimination is proportional to the plasma concentration (Ref: KDT 8th/e p38)Drugs may follow zero order or first order kinetics. It depends on the following formula:Rate of Elimination a {PlasmaConcentration}order* Thus, if a drug follows zero order kinetics, {PlasmaConcentration}0 is equal to one, in other words rate of elimination is independent of plasma concentration or rate of elimination is constant.* From the above formula, rate of elimination is proportional to plasma concentration for the drugs following first order kinetics.